Groove sign is seen in-
1. Syphilis
2. Dermatomyositis
3. LGV
4. SLE

Correct answer: 3. LGV

Explanation: Ans. is 'c' i.e., LGV * 'Groove sign of Greenblatt' is pathognomonic of LGV (secondary stage) - when inguinal lymph nodes are enlarged, they are separated by Poupart's ligment, producing a groove.Lymphogranuloma venerum (lymphogranuloma inguinale)* LGV is caused by chlamydia trachomatis, serotypes LI, L2, L3. Serotype L2 is the most common cause. The clinical course of LGV consist of following three stages : -i) First stage (Primary LGV): - Self limited, Single, asymptomatic, painless, non bleeding genital ulcer.ii) Secondary stage: - Painful inguinal lymphadenopathy (Remember - Ulcer is painless but lymphadenopathy is tender & painful). Swollen lymph nodes coalesce to form bubos, i.e., matted lymph nodes. Buboes may rupture to form discharging sinus.# Groove's sign - Enlarge lymph nodes both above and below inguinal ligament.iii) Tertiary LGV (genitorectal syndrome): - Characterized by proctocolitis.Complications of LGV* Esthiomene - Enlargement, thickening and fibrosis of labia.* Elephantiasis of the genitals* Rectal stricture* Systemic - Arthritis, pneumonitis, Perihepatitis